Feature of microscopic polyangitis is:
1. IgG deposits in kidney
2. Bronchospasm
3. Renal involvement in 80% of cases
4. All of the above

Correct answer: 3. Renal involvement in 80% of cases

Explanation: Renal involvement is seen in at least 80% ofpatients with MPA. Renal involvement is seen in at least 80% of patients with MPA Renal involvement is seen in at least 80% of patients with MPA - CRDT Glomerulonephritis occurs in atleast 79% of patients - Harrison Microscopic polyangitis is not associated with IgG Deposits in kidney Microscopic Polyangitis is a pauci-immune glomerulonephritis. Immunofluorescence and electron microscopy show no immune deposits Microscopic Polyangitis is not associated with bronchospasm Asthma (bronchospasm) and Eosinophilia are features of Churg-Strauss Syndrome and are typically absent in microscopic polyangitis. REF: Harrison book of internal medicine 21ST EDITION